All of the following are used for the treatment of congestive heart failure except
1. Nitroglycerin
2. Spiranolactone
3. Nesiritide
4. Trimetazidine

Correct answer: 4. Trimetazidine

Explanation: Trimetazidine is a partial fatty acid oxidation inRt inhibitor used for angina pectoris Refer CMDT-2010